Instrument used for removal of broken curette tips from the periodontal pocket is:
1. Schwartz periotrievers
2. Barnhart instrument
3. EVA system
4. Prophy - jet

Correct answer: 1. Schwartz periotrievers